TRUE/FALSE statements about otic ganglion is/are:1. Lesser petrosal nerve forms parasympathetic root2. Secretomotor to parotid gland3. Topographically connected to maxillary division of trigeminal nerve4. Nerve to medial pterygoid connected to the ganglion5. Sympathetic root is derived from plexus around internal carotid artery
1. 1,2,3 true & 4,5 false
2. 1,2,4 true & 3,5 false
3. 1,3,4 true & 2,5 false
4. All are false

Correct answer: 2. 1,2,4 true & 3,5 false

Explanation: Otic ganglion is a peripheral parasympathetic ganglion which relays secretomotor fibres to the parotid gland. Topographically it is related to the mandibular division of the trigeminal nerve, but functionally it is a part of glossopharyngeal nerve.The motor or parasympathetic root is formed by the lesser petrosal nerve. The preganglionic fibres are derived from the inferior salivary nucleus. The postganglionic or secretomotor fibres pass through the auriculotemporal nerve to the parotid gland.The sympathetic root is derived from the plexus around the middle meningeal artery. They are vasomotor in function. Sensory root comes from the auriculotemporal nerve and is sensory to the parotid gland.The nerve to medial pterygoid gives a motor root to the ganglion. Chorda tympani nerve is connected to the otic ganglion.